ElekS Gel test is used in:(
1. Influenza
2. Diphtheria
3. Brucellosis
4. Cholera

Correct answer: 2. Diphtheria

Explanation: Diphtheria